Which of the following is called ‘first immunization’ of the baby?
1. Colostrum
2. Handing over the baby to mother
3. OPV
4. DPT+BCG

Correct answer: 1. Colostrum

Explanation: • It is the most suitable food immediately after birth of the baby; Regular milk comes 3 – 6 days after birth
• Also known as ‘Beestings’, ‘First milk’ or ‘Immune Milk’
• High in carbohydrates, protein, and antibodies and low in fat
• Contains all five immunoglobulins found in all mammals, IgA, IgD, IgE, IgG and IgM
• Known as ‘first immunization’ of newborn